Cyclodevelopmental stage is seen is
1. Malaria
2. Filaria
3. Plague
4. Cholera

Correct answer: 2. Filaria

Explanation: cyclodevelopmental cycle means the agent undergoes only development but not multiplication,example is mocrofilaria in mosquitoref;parks textbook,ed22,pg94